Which of the following is a plasma expander similar to the albumin, has a molecular weight of 30,000 and causes less hypersensitivity reactions but should be used with caution?
1. Hydroxy ethyl starch (HES)
2. Dextran
3. Polygeline
4. Polypyrrolidone

Correct answer: 3. Polygeline

Explanation: Ans. c. Polygeline Polygeline is a plasma expander similar to the albumin, has a molecular weight of 30,000 and causes less hypersensitivity reactions but should be used with caution. Polygeline Polypeptide with average MW 30,000Q Exerts oncotic pressure similar to albuminQ Not antigenic, hypersensitivity reactions are rareQ but should be watched for. Does not interfere with grouping and cross matching of bloodQ Remains stable for three years. It is not metabolized in the body; excreted slowly by the kidney. Expansion of plasma volume lasts for 12 hours. It is more expensive than dextran It can also be used for priming of heart-lung and dialysis machines